Which of the following is not a cholinergic action?
1. Salivation
2. Sweating
3. Mydriasis
4. Bradycardia

Correct answer: 3. Mydriasis

Explanation: Miosis is produced by M3 receptor activation, not mydriasis Ref: KDT 7th ed pg 101